All aggravates myastheia gravis,except ?
1. Azathioprine
2. Quinidine
3. Tetracycline
4. Aminoglycoside

Correct answer: 1. Azathioprine

Explanation: Ans. is 'a' i.e., Azathioprine o Tetracycline, aminoglycoside and quinidine can aggravate mysthenia gravis.